IQ in moderate mental retardation -
1. 90-70
2. 70-50
3. 50-35
4. 35-20

Correct answer: 3. 50-35

Explanation: WHO classification of Mental retardation(MR) mild MR...IQ 50-70 moderate MR ...35-49 severe MR..IQ 20-34 profound MR...IQ under 20 ref; (page no;582) 23rd edition of PARK's textbook of Preventive and Social medicine